All are primary colours except:
1. Green
2. Blue
3. Red
4. White

Correct answer: 4. White

Explanation: Ans. D: WhiteThe primary colors normally are red, green, and blue. Because white colour, spectral colour or even extraspectral colour can be produced after mixing them in various proportions.